Pruritus precedes jaundice in
1. Primary biliary cirrhosis
2. Secondary biliary cirrhosis
3. Primary sclerosing cholangitis
4. CBD stone

Correct answer: 1. Primary biliary cirrhosis

Explanation: Primary biliary cirrhosis Believed to be an autoimmune etiology, leading to progressive destruction of intrahepatic bile ducts More common in females Associated with autoimmune disorders (CREST, Sicca syndrome, Autoimmune thyroiditis, Renal tubular acidosis) Clinical features Most patients are asymptomatic, pruritus the commonest and earliest symptom. Pruritus precedes jaundice in PBC, Pruritus is most bothersome in evening Jaundice, fatigue, melanosis (gradual darkening of exposed areas of skin), deficiency of aft soluble vitamins due to malabsorption Xanthomas and xanthelesmas due to protracted elevation of serum lipids Ref: Sabiston 20th edition Pgno : 639